Spermatogonium to spermatozoon transformation takes place in:
1. 64 days
2. 74 days
3. 84 days
4. 94 days

Correct answer: 2. 74 days

Explanation: Ans. B 74 daysRef: I.B. Singh, 9th ed. pg. 14-15* Please refer to the image given about how spermatogonium undergoes mitotic division and forms primary spermatocyte, which further forms secondary spermatocyte and spermatid after first and 2nd meiotic division respectively.* Microscopically primary spermatocyte is largest in size among all.* The formation of spermatogonium to spermatozoa takes around 74 days.